Best marker for iron deficiency is
1. Serum iron
2. Serum ferritin
3. Total iron binding capacity
4. Transferrin saturation

Correct answer: 2. Serum ferritin

Explanation: Ref Harrison 19 th ed pg 627-628 The serum ferritin level is a better indicator of iron overload than the marrow iron stain. However, in addition to storage iron, the marrow iron stain provides information about the effective delivery of iron to develop- ing erythroblasts.